HLA-B* 1502 is a genetic marker for
1. Systemic lupus erythematosus
2. Polyarteritis nodosa
3. Steven Johnson syndrome
4. Seronegative spondy-arthritis syndrome

Correct answer: 3. Steven Johnson syndrome

Explanation: Answer- C. Steven Johnson syndromeInilitiiluals who haw HLA-B* 1502 are more likely to experience a severe disorder called Stevens-Johnson syrdrome in response to carbamazepine.